Amphotericin B treatment mandates the monitoring of which of the following electrolytes:-
1. Ca2+
2. Na+
3. K+
4. Cl-

Correct answer: 3. K+

Explanation: Hypokalemia is a serious adverse effect of Amphotericin B hence treatment mandates the monitoring of serum K+levels. ADVERSE EFFECTS OF AMPHOTERICIN B: Infusion related reactions are most common adverse effects and require premedication with antihistaminics or glucocorticoids. Dose limiting toxicity is nephrotoxicity manifested by renal tubular acidosis, hypokalemia and hypomagnesemia. It is most common dose dependent adverse effect. It may also result in anemia (due to decreased erythropoietin). * Intrathecal administration may cause seizures and neurological damage. Liposomal AMB, colloidal dispersion (ABCD) and lipid complex (ABLC) are lipid preparations of amphotericin B. These formulations result in decreased accumulation of the drug in tissues like kidney, thus nephrotoxicity is decreased. Some formulations also show decreased incidence of infusion related reactions. However, these new preparations have similar efficacy and antifungal spectrum as possessed by conventional preparations.